Lens capsule has which type of collagen ?
1. Type 1
2. Type 2
3. Type 3
4. Type 4

Correct answer: 4. Type 4

Explanation: Various collagen types are: 
Type I - Skin, bone, tendon, ligaments, sciera, dentine, fascia
Type II - Hyaline, cartilage, elastic cartilage, notochord, intervertebral disc
Type Ill - Uterus, liver, spleen, kidney, smooth muscles, blood vessels, fetal skin, endometrium
Type IV - Basal lamina of epithelium, kidney glomeruli, lens capsule.